Gonococcus ferments -
1. Glucose
2. Maltose
3. Sucrose
4. Fructose

Correct answer: 1. Glucose

Explanation: Ans. is 'a' i.e., Glucose